Globulomaxillary cyst is
1. Soft tissue cyst present often between maxillary lateral incisor and cuspid teeth
2. Often present between incisor and cuspid teeth but is a bone cyst
3. A cyst present between the midline of the palate
4. A cyst present in the incisive canal

Correct answer: 2. Often present between incisor and cuspid teeth but is a bone cyst